Scutula is classically seen in:
1. Favus
2. Small spore ectothrix
3. Endothrix
4. Kerion

Correct answer: 1. Favus

Explanation: Scutula is the charecteristic lesion of us. The classical picture of tinea capitis caused by Trichophyton schoenleinii is characterized by the presenceof yellowish cup-shaped crusts known as scutula which develops round a hair. Adjacent crusts confluent and form a mass of yellow crusting. Note: the other three options mentioned are morphological forms of T.capitis. Ref: Rook's textbook of dermatology, Edition-8, Page 36.27.